All of the following statements about lignocaine are true EXCEPT :
1. It blocks active sodium channels with more affinity than resting sodium channels
2. It can cause cardiotoxicity
3. It is given orally for treatment of cardiac arrhythmias
4. Adrenaline increases the duration of action of lignocaine when used for infiltration anaesthesia.

Correct answer: 3. It is given orally for treatment of cardiac arrhythmias